Which of the following is the first proven vector of a virus disease?
1. Aedes aegypti
2. Anopheles stephensi
3. Anopheles culicifacies
4. Culex fatigans

Correct answer: 1. Aedes aegypti

Explanation: Aedes aegypti has an important position in the history of preventive medicine. It is the first proved vector of a viral disease. It causes yellow fever. Chapter: Environment and health Ref: Park 21st edition page: 711